Features of systemic sclerosis include all of the following, Except:
1. Calcinosis
2. Sclerodactyly
3. Hyperpigmentation (Melanin deposition)
4. More common in young patients

Correct answer: 4. More common in young patients

Explanation: Answer is D (More common in young patients): Systemic sclerosis is primarily a disease of adults and the mean age of presentation is around 50 years. Systemic sclerosis is not a disease of young individuals The mean age of presentation of systemic sclerosis is 50 years -- Current Diagnosis & Treatment in Rheumatology 2nd/228 The peak incidence of systemic sclerosis is 50-60 years -- Robbins 7th/239 The most common age of onset in the range of 30-50 years -- Harrison 171h/2097 Systemic sclerosis is more common in women Like other connective tissue disorders systemic sclerosis shows a female predominance- Harrison 17th/2097 Systemic sclerosis is primarily a disease of women (female to male ratio is 3: I) -- Robbin,s Systemic sclerosis may present with Calcinosis, Sclerodactyly and hyperpiamentation The skin of extremities and trunk may be darkly pigmented. Diffuse tanning in the absence of sun exposure may be a very early manifestation of skin involvement -- Harrisons Calcinosis and sclerodactyly are part of the 'Crest syndrome' in limited systemic sclerosis CREST syndrome C Calcinosis R Raynauld's E Esophageal dysmotility S Sclerodactyly T Telengactasia